The increased suicidal tendency is associated with -
1. Noraderenaline
2. Serotonin
3. Dopamine
4. GABA

Correct answer: 2. Serotonin

Explanation: Patient with suicide has decreased level of serotonin metabolite (5-HIAA) in urine & plasma.